Which of the following nerve carries taste sensations from the posterior 1/3rd of tongue?
1. Glossopharyngeal
2. Lingual
3. Chorda tympani
4. Vagus

Correct answer: 1. Glossopharyngeal

Explanation: The sensory nerve fibers from the taste buds on the anterior two-thirds of the tongue travel in the chorda tympani branch of the facial nerve, and those from the posterior third of the tongue reach the brainstem the glossopharyngeal nerve. The fibers from areas other than the tongue (eg, pharynx) reach the brain stem the vagus nerve.On each side, these nerves unite in the gustatory portion of the nucleus of the solitary tract (NTS) in the medulla oblongata. From there, axons of second-order neurons ascend in the ipsilateral medial lemniscus and project directly to the ventral posteromedial nucleus of the thalamus.From the thalamus, the axons of the third-order neurons pass to neurons in the anterior insula and the frontal operculum in the ipsilateral cerebral cortex.